Inclusion bodies of vaccina is known as -
1. Guarnieri bodies
2. Negri bodies
3. Asteroid bodies
4. Schuffner dots

Correct answer: 1. Guarnieri bodies

Explanation: Vaccinia infected cells show rather small multiple inclusions known as Guarnieri bodies. REF:ANANTHANARAYAN AND PANIKER'S TEXTBOOK OF MICROBIOLOGY 9TH EDITION PAGE NO:444